Most common mode of treatment of a 1 year old child with asthma is:
1. Inhaled short acting beta 2 agonist
2. Oral short acting theophylline
3. Oral ketotifen
4. Leukotriene agonist

Correct answer: 1. Inhaled short acting beta 2 agonist

Explanation: Asthma in children between 1-3 years of age is treated with inhaled beta-2 adrenergics and/or theophylline administered by nebuliser or face mask. Ref: Diagnosis and Management of Asthma, Mani S. Kavuru, 2007 - Page 41; Pediatric Allergy, Asthma And Immunology, Springer, 2008 - Page 828; Ghai Essential Pediatrics - 6th Edition, Page 357